Arsenophagists are :
1. Criminals using arsenic for homicidal purpose
2. Person using arsenic as abortion stick
3. Person who can tolerate high doses of arsenic after taking arsenic in low doses at frequent intervals
4. Persons using it as cattle poison

Correct answer: 3. Person who can tolerate high doses of arsenic after taking arsenic in low doses at frequent intervals

Explanation: C i.e. Persons tolerating high doses of As after taking arsenic in low doses at frequent intervals.